Which statement regarding measles is false?
1. Koplik's spots cannot be seen in conjunctival or vaginal mucosa
2. Vitamin A administration is part of management of clinical measles
3. CD 150 and PVRL4 are receptors for measles virus
4. Pneumonia is the common cause of death in children with measles

Correct answer: 1. Koplik's spots cannot be seen in conjunctival or vaginal mucosa

Explanation: Measles: Koplik's spots on inner cheeks, vagina, conjunctiva- pathognomonic of measles CD 150 and PVRL4 are receptors for measles virus Vitamin A administration is part of management of clinical measles Pneumonia is the common cause of death in children with measles